The bacterial drug resistance in tuberculosis results from :
1. Transduction
2. Transformation
3. Plasmid mediated
4. Mutation

Correct answer: 4. Mutation

Explanation: Resistance to INH occurs due to point mutation in inhA or katG genes.
Resistance to rifampicin occurs due to point mutation in rpoB genes.
Resistance to ethambutol is due to mutations resulting in overexpression of the embB gene.